Which of the following is a TRUE statement regarding leukemia?
1. CLL is seen in people less than 50 yrs of age
2. Hairy cell leukemia is seen in individuals less than 50 yrs
3. CML occur in individuals above 70 yrs of age
4. ALL has got poor prognosis in children < lyr of age

Correct answer: 4. ALL has got poor prognosis in children < lyr of age

Explanation: Factors associated with poor prognosis in a case of ALL are : children less than 1 years with t(4:11) translocation and patients with t(9:22). Factors associated with a favorable prognosis in ALL are : children aged between 1-9 years of age with diagnostic WBC count less than 50,000/microl, rapid response to induction treatment, patients whose blasts are hyperdiploid, with trisomies of chromosomes 4, 10 and 17 and patients whose blasts have a t(12:21) and TEL-AML1 rearrangement . CLL is a disease of elderly usually seen after 50 years of age, and median age of presentation is 70 years. CML is a neoplasm of middle aged with median age of presentation being 55 years. Hairy cell leukemia is a B cell neoplasm of middle aged men with a median age of presentation being 55 years.